A 40-year-old male presented with fever, cough with expectoration and shortness of breath, mild confusion for 1 week. Patient gave history of shower in a public washroom 10 days back. Patient also reported some episodes of diarrhoea. Sputum sample was taken. And gram staining and direct fluorescent antibody test were done. CT Scan Which of the following lab findings would be most commonly found: -
1. Hyponatremia
2. Hypernatremia
3. Hypercalcemia
4. Hypocalcemia

Correct answer: 1. Hyponatremia

Explanation: This is a case of pneumonia due to Legionella pneumophila. Gram stain shows poorly stained gram-negative bacilli. DFA test shows positive test for Legionella. CT scans shows multifocal consolidations- suggestive of pneumonia due to Legionella pneumophila. Legionella pneumonia/ Legionnaires' disease Pulmonary infection primarily with the organism Legionella pneumophila Sometimes classified as atypical pneumonia Hyponatremia is classically seen due to inappropriate ADH secretion. Gram negative bacillus Thin, non-capsulated Best visualized by DFA test Grow on BCYE agar Fastidious organism Spreads by inhalation of aerosols from cooling towers, air conditioners and shower heads.